In Indoor air pollution, carbon monoxide is produced by-
1. Combustion equipment
2. Stove
3. Gas heaters
4. All of the above

Correct answer: 4. All of the above

Explanation: Ans. is 'd' i.e., All of the above Pollutant Sources Carbon monoxide Combustion equipment,stove, Gas heater. Nitrogen dioxide Gas cookers, Cigarattes Sulphur dioxide Coal combustion Carbone dioxide Combustion, respiration Ozone Electric arcing, UV light sources